An elderly male patient on evaluation is found to have delusions, hallucinations and disturbed cognitive function. What is he most likely suffering from?
1. Paranoid psychosis
2. Organic brain syndrome
3. OCD
4. Dissociative disorder

Correct answer: 2. Organic brain syndrome

Explanation: Organic brain syndromes refers to physical disorders that cause impaired mental function. It is the most common form of mental illness in elderly. In acute form it can present with delerium and in chronic form as dementia.